All are true about angioid streaks except:
1. They are mistaken for blood vessels
2. Are situated near the disc
3. Situated at a superficial level than the retinal vessels
4. Result due to defects in Bruch's membrane

Correct answer: 3. Situated at a superficial level than the retinal vessels

Explanation: Ans. Situated at a superficial level than the retinal vessels